For reduction of cholesterol, the best management includes:
1. Cholesterol restricted diet
2. High fiber diet
3. Diet with high unsaturated FA and low saturated FA
4. Cholesterol restricted diet, high fiber and diet with low saturated FA to unsaturated FA ratio

Correct answer: 4. Cholesterol restricted diet, high fiber and diet with low saturated FA to unsaturated FA ratio

Explanation: D i.e. Cholesterol restricted diet, high fiber diet with low saturated FA to unsaturated FA ratio.